Dalen fuchs nodules -
1. Sympathetic Ophthalmitis
2. Chronic iridocyclitis
3. Neurofibromatosis
4. Trachoma

Correct answer: 1. Sympathetic Ophthalmitis

Explanation: Ans. is 'a' i.e., Sympathetic Ophthalmitis o Dalen fuch's nodules are seen in sympathetic ophthalmitis.o Daien-Fuchs' nodules are formed due to proliferation of the pigment epithelium (of the iris, ciliary body and choroid) associated with invasion by the lymphocytes and epitheloid cells. Retina shows perivascular cellular infiltration (sympathetic perivasculitis).